All of the following constitute the Charcot’s Triad except
1. Pain
2. Septic Shock
3. Jaundice
4. Fever

Correct answer: 2. Septic Shock

Explanation: Charcot’s triad comprises of:
Pain abdomen  Jaundice  Fever with Chills Presence of the triad indicates cholangitis Note:
Reynolds’s pentad → Charcot’s triad + Septic Shock+Mental status changes